True about valves in portal venous system?
1. Present at the junction of superior mesentric artery with the splenic artery
2. Within the portal vein only
3. The whole system is valveless
4. In the intrahepatic portion of portal vein.

Correct answer: 3. The whole system is valveless

Explanation: The whole system is valveless Venous valves help in unidirectional blood flow in veinsThe number of valves is greatest below the knee and decrease in number in the more proximal veins.Valveless veins or venous sytem are- Inferior vena Cava- Common iliac veins- Portal venous system- Cranial sinuses